As per the most common classification of Triage system that is internationally accepted, the colour code that indicates high priority treatment or transfer is
1. Black
2. Red
3. Yellow
4. Blue

Correct answer: 2. Red

Explanation: Red - High
Yellow - Medium
Green - Low
Black - Least